Maximum chances of nasal perforation during palatal torus removal can be encountered while working with
1. Rongeurs
2. Burs
3. Chisel
4. All of the above

Correct answer: 3. Chisel

Explanation: The palatal torus should be excised with the help of burs and rongeurs by splitting into small segments. Nasal perforation occurs only when the torus palatinus is excised enmass with the help of chisel.